In a population of 5000, on 1st January, total cases of myopia were 500. Till 31st December, 90 new cases were found. Calculate the incidence of myopia per 100
1. 1.8
2. 2
3. 5
4. 18

Correct answer: 2. 2

Explanation: Incidence = Number of new cases of a specified disease during a given time period x 100 Population at risk during that periodPopulation at risk = 5000-500= 4500Incidence of myopia during the year in the population would be - 90 x 100 = 2 per 100 4500